Weight loss may be seen in all of the following except :
1. Uremia
2. Pheochromacytoma
3. Adrenal insufficiency
4. Insulinoma

Correct answer: 4. Insulinoma

Explanation: Answer is D (Insulinoma); Insulinoma is characterised by an increase in weight (weight gain) and not by weight loss. Weight gain may result from increased food ingested to combat symptoms of hypoglycemia.